Botulism is most commonly due to -
1. Egg
2. Milk
3. Meat
4. Canned vegetables

Correct answer: 4. Canned vegetables

Explanation: The most common food associated with botulism are home preserved foods such as home canned vegetables, smoked or pickled fish, home made cheese and similar low acid food
Ref: Apurba Sastry’s Essentials of Medical Microbiology 1/e p264, Park 22/e p217